The most common type of emphysema associated with a-1 antitrypsin deficiency -
1. Centriacinar
2. Panlobular
3. Paraseptal
4. Distal acinar

Correct answer: 2. Panlobular

Explanation: Ans. is 'b' i.e., Panlobular